Which vitamin is necessary for coA synthesis
1. Pantothenic acid
2. Ascorbic acid
3. Biotin
4. Pyridoxine

Correct answer: 1. Pantothenic acid

Explanation: Synthesis of coenzyme A from pantothenate occurs in a series of  reactions. Pantothenate is  first phosphorylated to  which  cysteine is  added. Decarboxylation, followed by addition of AMP moiety and a phosphate (each from ATP) results in  coenzyme A. 
Ref : Satyanarayana, 3rd ed, pg- 148